Henoch scholein purpura true is all except
1. IgA deposition
2. Non palpable purpura
3. Abdominal pain
4. Glomerulonephritis

Correct answer: 2. Non palpable purpura